All of the following are true about user of iodine except:
1. It inhibits release of thyroid hormones
2. It causes acute inhibition of iodotyrosine and iodothyronine synthesis
3. It can cause iodism
4. Its use is contraindicated in hyperthyroidism

Correct answer: 4. Its use is contraindicated in hyperthyroidism

Explanation: Ans. d. Its use is contraindicated in hyperthyroidism